Best time for breast self examination screening is
1. During menstruation
2. One week after menstruation
3. Two weeks after menstruation
4. Any time of the cycle

Correct answer: 2. One week after menstruation